The common preoperative causes of endodontic treatment failure include all of the following except which one?
1. Misdiagnosis
2. Leaking coronal restoration
3. Poor case selection
4. Error in treatment planning

Correct answer: 2. Leaking coronal restoration

Explanation: Failure  of  previous  endodontic  therapy  can  be  attributed  to various  factors,  such  as  procedural  errors,  missed  canals,  or persistent periapical pathosis. Knowledge of the cause of failure is pertinent to the treatment of these cases because it allows the cause to be adequately rectified.
Misdiagnosis, poor case selection and  error in treatment planning  are the preoperative causes and leaking coronal restoration is the postoperative cause of endodontic therapy failure.
Ref: Cohen pathways of Pulp 11th ed page no 44